Topical Mitomycin C is useful in treatment of?
1. Angiofibroma
2. Tracheal stenosis
3. Skull base Ostemyelitis
4. Laryngeal carcinoma

Correct answer: 2. Tracheal stenosis

Explanation: Laryngotracheal stenosis treated by serial dilatation using Jackson bronchoscopes. Laser have tendency to recur and hence adjuvant methods are done to decrease the rate of restenosis. Mitomycin C is an example of one of these adjunctive agents. It is a chemical derived from the Streptomyces caespitosus bacterium. It is an alkylating agent which has both antineoplastic and antiproliferative properties and inhibits fibroblast production and thus prevents restenosis.